Which of the following is the best treatment for severe digitalis toxicity
1. Potassium supplementation
2. Diphenyl hydantoin
3. FAB antibodies for digoxin
4. Quinidine

Correct answer: 3. FAB antibodies for digoxin

Explanation: DIGIBIND, Digoxin Immune Fab (Ovine), is a sterile lyophilized powder of binding fragments (Fab) derived from specific antidigoxin antibodies raised in sheep. Production of antibodies specific for digoxin involves conjugation of digoxin as a to human . Ref: KD Tripathi 8th ed